Which hepatitis virus is notorious for causing chronic hepatitis evolving to cirrhosis -
1. HCV
2. HBV
3. HEV
4. HAV

Correct answer: 1. HCV

Explanation: Ans. is 'a' i.e., HCV